Which of the following is NOT a feature of keloids?
1. Never gets worse after 6 months
2. Severe itching is present
3. Margins are tender
4. None of the above

Correct answer: 1. Never gets worse after 6 months